DOC in primary syphillis is –
1. Corticosteroid
2. Oral penicilline
3. Benzathine penicilline
4. Crystalline penicilline

Correct answer: 3. Benzathine penicilline

Explanation: Benzathine penicillin is the drug of choice for primary, secondary, latent and tertiary syphilis (except for neurosyphilis). For neurosyphilis aqueous penicillin G is the drug of choice.